The facial muscle responsible for frowning:
1. Zygomaticus major
2. Corrugator supercilii and procerus
3. Dilator naris and depressor septi
4. Depressor anguli oris

Correct answer: 2. Corrugator supercilii and procerus